Which of the following s a marker for Active Hepatitis B
1. HBe Ag
2. IgM Anti HBs Ag
3. HBs Ag
4. IgG Anti HB1 Ag

Correct answer: 1. HBe Ag

Explanation: Answer is A (HBe Ag): HBe Ag is the most important marker fir Active Hepatitis B (High infectivity and active disease) amongst the options provided. Markers for Active Hepatitis B (Persistent Replication; High Infectivity: Active Disease) HBV DNA HBVDNA polvmerase HBe Ag Markers for Hepatitis B Virus Replication HBV DNA HBV DNA Polymerase HBe Ag levels * HBV DNA is the most sensitive * HBV DNA polymerase is * HBeAg is considered a and specific marker of virus considered the traditional convenient and readily replication marker active viral replication detectable qualitative marker * HBV DNA may provide both, a qualitative and quantitativ estimate of virus replication * HBV DNA polymerase activity usually parallel's serum HBV DNA levels of HBV replication and relative infectivity * HBV DNA estimation as a measure of virus replication has * Both HBV DNA and HBV The HBe Ag if detectable is largely replaced the DNA polymerase are markers considered a marker for determination of DNA polymerase for the complete virion. active viral replication, hut the lack of HBe Ag does not * The Gold standard Jim confirmation of viral replication is HBV DNA detection exclude viral replication